A 74-year-old man with a previous episode of gout is given allopurinol. Which of the following is the most likely mechanism of action for this medication?
1. increasing uric acid production
2. blocking excretion of uric acid by renal tubular mechanism
3. inhibiting xanthine oxidase
4. diminishing inflammation of acute gouty arthritis

Correct answer: 3. inhibiting xanthine oxidase

Explanation: Allopurinol effectively blocks uric acid production by inhibiting xanthine oxidase. Allopurinol is indicated in patients with a history of uric acid calculi of the urinary tract. In addition, it is often used in patients with malignancy (e.g., leukemia, lymphoma), particularly when chemotherapy or radiation therapy is being used.